Nails and hairs are commonly preserved in:
1. Acute lead poisoning
2. Acute arsenic poisoning
3. Chronic arsenic poisoning
4. All of the above

Correct answer: 3. Chronic arsenic poisoning

Explanation: Chronic arsenic poisoning